According to CDC recommendations, HIV screening of pregnant women is:-
1. Opt-in testing
2. Opt-out testing
3. Compulsory
4. Symptomatic

Correct answer: 2. Opt-out testing

Explanation: Opt-out testing: means performing an HIV test after notifying the patient that the test is normally performed, unless patient may elect to decline or defer testing. OPT-in testing: testing is offered and the patient is required to actively give permission before it can occur. WHO and CDC recommends opt-out testing policies in health care settings. Opt-out testing has a higher testing rate than opt-in testing. It does not eliminate the need for informed consent.